A 60 years old male presented to OPD with bleeding PR. On DRE, growth was felt at by the tip of index finger. On sigmoidoscopy, there was an ulcero-proliferative growth located 6 cm from anal verge. On CECT, liver and lungs were not involved. After chemoradiation, what is the next best step?
1. Observation an follow up
2. Low anterior resection
3. Abdominoperineal resection
4. Hartman's procedure

Correct answer: 2. Low anterior resection

Explanation: Ca. rectum - Length of surgical anal canal - 3 cm - Growth on DRE - (10 cm) - In rectum - Growth Located >5 cm above anal verge - LAR - Growth located at Anorectal junction or <5 cms from anal verge - APR Stage I - Surgical excision Stage II Stage III Stage IV Neo adjuvant chemoradiation + Surgical excision